A 30-year-old woman is having symptoms of muscle weakness and fatigue. On examination, her blood pressure is 120/80 mm Hg, pulse 80/min, JVP 4 cm, heart sounds normal, and lungs clear. Her serum potassium level is 2.5 mEq/L, and bicarbonate 30 mEq/L. The urine potassium is 10 mEq/L.For the above patient with hypokalemia, select the most likely diagnosis.
1. lower gastrointestinal (GI) losses
2. prior use of diuretics
3. RTA
4. current use of diuretics

Correct answer: 2. prior use of diuretics

Explanation: In patients who have prior diuretic use, resulting in hypokalemia at the time of evaluation, the bicarbonate tends to be elevated and the urine potassium low (< 25 mmol/F).